Not true about nitroglycerine is that -
1. Causes AV conduction delay
2. Causes tolerance
3. Caused reflex tachycardia
4. Caused hypotension

Correct answer: 1. Causes AV conduction delay

Explanation: Ans. is 'a' i.e., Causes AV conduction delay Nitroglycerine and other nitrates have no effect on A-V conduction.About other optionso Tolerance can develop if nitrates are continuously present in the body.o Nitrates can cause reflex tachycardia and hypotension.